A 60-year-old man whose wife passed away 3 months back now believes his intestines have rotten away and that he is responsible for the death of his wife and should be sent to prison. Likely diagnosis is
1. Delusional disorder
2. Psychotic depression
3. Grief psychosis
4. Schizophrenia

Correct answer: 2. Psychotic depression

Explanation: (B) Psychotic depression > DSM-IV-TR Criteria for Major Depressive Episode> "The symptoms are not better accounted for by bereavement, i.e., after the loss of a loved one, the symptoms persist for longer than 2 months or are characterized by marked functional impairment, morbid preoccupation with worthlessness, suicidal ideation, psychotic symptoms, or psychomotor retardation...."> DSM-IV-TR Criteria for Severity/Psychotic/ Remission Specifiers for Current (or Most Recent) Major Depressive Episode> Mood-congruent psychotic features : Delusions or hallucinations whose content is entirely consistent with the typical depressive themes of personal inadequacy, guilt, disease, death, nihilism, or deserved punishment...."